All are seen in nicotine withdrawal except
1. Hyperhydrosis
2. Anxiety
3. Bradycardia
4. Insomnia

Correct answer: 1. Hyperhydrosis

Explanation: Nicotine withdrawal can occur 12-14 hours after last smoke and can present with anxiety, restlessness, poor concentration, decreased sleep, increased appetite and exacerbation of psychiatric symptoms in those with the pre-existing psychiatric disorder(s). Ref: A Short Textbook of Psychiatry, Niraj Ahuja, 7th Edition, pg. no.52